A 55 year old sexually active male with stage Tlb prostate cancer must be offered -
1. Radical Prostatectomy
2. Orchidectomy
3. Hormone Ablation
4. TURP

Correct answer: 1. Radical Prostatectomy

Explanation: Answer- A. Radical ProstatectomyTlb, Tf c &T2 diseaseManagement depends on patient's age, life expectancy, performance status, and patient's preferences.ln younger, fitter men (Watchful waiting is an option for elderly with low life expectancy (- Advanced ds (T3, T4 or any metastasis)Only Palliative t/t is the optionl) Androgen Ablation is the first line therapyIt can be achieved by-Orchiectomy orDrugs (medical castration)2) Palliative Radiotherapy